Relaxis pad is used in:-
1. Nocturnal enuresis
2. Restless leg syndrome
3. Narcolepsy
4. Panic disorder

Correct answer: 2. Restless leg syndrome

Explanation: Relaxis pad is an FDA approved strategy for management of Restless leg syndrome. It is the only FDA approved non-pharmacological strategy to manage restless leg syndrome. Refer to their official site for further details: